Duffy blood group antigen negativity confers protection against infection by -
1. Plasmodium falciparum
2. Plasmodium ovale
3. Plasmodium vivax
4. Plasmodium malariae

Correct answer: 3. Plasmodium vivax

Explanation: vivax Duffy Binding Protein antibody (anti-PvDBP) can inhibit invasion of merozoites. It is notable, that children living in endemic areas of P. vivax develop inhibitory anti-DBP antibodies that seem to confer protection against the blood infection stage. Additional cases of infection in Duffy antigen negative individuals have been reported from the Congo and Uganda. A study in Brazil of the protection against P. vivax offered by the lack of the Duffy antigen found no differential resistance to malaria vivax between Duffy antigen positive and negative individuals. Ref Harrison20th edition pg 1078